The WHO index for fluorosis is based on:
1. Dean's index
2. McKay's index
3. Community Fluorosis index
4. Public Health fluorosis index

Correct answer: 1. Dean's index